Bell's palsy is
1. Hemiparesis with contralateral facial nerve palsy
2. Ipsilatera lower motor meuron lesion
3. Ipsilateral upper motor neuron lesion
4. Contralateral upper motor neuron lesions

Correct answer: 2. Ipsilatera lower motor meuron lesion

Explanation: B. i.e. (Ipsilateral LMN paralysis) (4- Dhingra 4th) (104 - Maqbool 11th)* BELL'S PALSY - Idiopathic infranuclear lesion of the facial nerve more common in diabetic (angiopathy) and pregnant women (retension of fluid)* BELL'S PHENOMENON - up and out rolling of the eyeball during forceful closure**Clinical presentation - LMN paralysis** patients is unable to close eye, saliva dribbles from the angle of mouth, face become asymmetrical, Tears flow down from the eye (epithora) stapedial reflex or loss of taste* Epiphora in bell's palsy is due to - lacrimal pump failure*** Melkersson's syndrome - Triad - Facial paralysis, swelling of lips, and fissured tongue* Recurrent facial palsy - causes - Melkersson's syndrome DM, sarcoidosis and tumoursPoor prognostic indicators - advanced age, hyperacusis, severe initial painBilateal facial paralysis - seen in GB syndrome sarcoidosis, sickle cell disease, acute leukemia, bulbar palsy, leprosy and sother systemic disorders.Supra nuclear (central) palsv primarily involves the lower part of face and emotional responses may be intact (eg- the patients not be able to show you his teeth but will smile to a Joke. Nuclear palsv affects all ipsilateral muscles of facial expression resulting in paralysis of the ipsilateral side (eg. mouth is pulled to the normal side and may droop on the affected side facial crease are effaced, eyelid may not close).